Which of the following is most resistant to the action of antiseptics and disinfectants:
1. Spores
2. Coccidia
3. Prions
4. Mycobacteria

Correct answer: 3. Prions

Explanation: Ans. (c) Prions